Boy with IQ of 62 will come under
1. Mild MR
2. Moderate MR
3. Severe MR
4. Normal

Correct answer: 1. Mild MR

Explanation: Ans. a (Mild MR). (Ref. PSM, Park, 17th/pg.468)IQ =Mental age-----------Chronological agex 100 Level of intelligenceIQIdiot0-24Imbecile25-49Moron50-69Borderline70-79Low normal80-89Normal90-109Superior110-119Very superior120-139Near genious>140